One gray equals
1. 10 RAD
2. 100 RAD
3. 1000 RAD
4. 10000RAD

Correct answer: 2. 100 RAD

Explanation: SI unit of radiation absorbed dose is GRAY (1 Gy= 1J/Kg)Absorbed dose is the energy absorbed as ionization or excitation per unit mass of the material irradiated.The concept of absorbed dose applies to all kinds of ionizing radiation (direct and indirect) and to any material.Before 1980 the international dose of absorbed dose is RAD1 Gy=100 rad (1rad=1cGy=10 mGy)(Ref: Farr's Physics for Medical Imaging, 2nd Edition, Page No 17)